The polymerization of self-curing resin takes faster in
1. Cold water
2. Hot water
3. Under pressure
4. In vacuum

Correct answer: 2. Hot water